Zika Virus is transmitted by
1. Anopheles
2. Culex
3. Aedes
4. Mansonia

Correct answer: 3. Aedes

Explanation: Zika virus is transmitted to people primarily through the bite of an infected Aedes species mosquitoRef: Park; Pg. No: 293